Which of the following is a first rank symptom in Schizophrenia?
1. Delusions
2. Thought insertion
3. Perceptional hallucinations
4. Word salad

Correct answer: 2. Thought insertion

Explanation: Ans: B (Thought insertion) Ref: Synopsis of psychiatry, Kaplan & Sadock, 10th editionExplanationSchneider described a set of symptoms which were characteristic (but not pathognomonic) of schizophrenia.They are grouped as follows- Auditory hallucinations of following characteristicsdeg Voices heard arguing/discussing or giving instructions/eommanding (2nd person)deg Voices heard commenting on one's actions (running commentary, usually describing the patient in the 3rd person)deg Thought echo (thoughts being heard aloud in one's mind)deg Thought insertion (thoughts are ascribed to other people who are intruding into the patient's mind)deg Thought withdrawal (feeling that one's thoughts are being sucked by means like chips)deg Thought broadcasting (also called thought diffusion- where one's thoughts are known to others by means of internet/mobile etc)- Somatic passivity experiences (delusions of control /of being controlled i.e. he/she is nothing but a doll & his/her speech/activities are controlled by external agents/alien forces)- Delusional perception (Sudden delusional idea after a normal perception e.g., suddenly believing that one is the king after seeing a horsef)